Sacrum becomes a single bone at ___ years of age.:-
1. 15
2. 25
3. 30
4. 40

Correct answer: 2. 25

Explanation: Sacrum The five sacral vertebrae are separated by cartilage until puberty. Later, fusion of epiphyses takes place and ossification of intervertebral discs extend from below upwards. Sacrum becomes single bone at 21-25 years of age. Sometimes, it leaves a gap between S1 and S2, until 32 years called as 'lapsed union'.